What is not seen in massive resection of small bowel -
1. Hypogastrinemia
2. B12 Deficiency
3. Malabsorption
4. Oxalate Stone

Correct answer: 1. Hypogastrinemia